All of the following are acyanotic congenital heart diseases except -
1. VSD
2. PDA
3. ASD
4. Tetralogy of fallot

Correct answer: 4. Tetralogy of fallot

Explanation: Ans. is 'd' i.e., Tetralogy of fallot